Sensitivity is usually expressed in:
1. Units
2. Alphabets
3. Ascending order
4. Percentage

Correct answer: 4. Percentage